What is the reason for following set of symptoms after prostatic Sx-restlessness, vomiting and change in sensorium ?
1. Electrolyte imbalance
2. Bladder neck obstruction
3. Acute pyelonephritis
4. Ureter stenosis

Correct answer: 1. Electrolyte imbalance

Explanation: Ans is 'a' ie. Electrolyte imbalance